Patients, who are grandiose and require admiration from others have which type of personality
1. Narcissistic
2. Histrionic
3. Borderline
4. Antisocial

Correct answer: 1. Narcissistic

Explanation: Narcissistic Personality Disorder characterised by:1. Ideas of grandiosity and inflated sense of self-importance.2. Preoccupation with fantasies of unlimited success.3. Attention seeking, dramatic behaviour, needs constant praise, and unable to face criticism.4. Lack of empathy with others, with exploitative behaviour.5. Shaky self-esteem, underlying sense of inferiority, easily depressed by minor events. Ref: A Short Textbook of Psychiatry, Niraj Ahuja, 7th Edition, pg. no. 116